At pharmacological doses unwanted unvaoidable effects are called -
1. Side effects
2. Idiosyncratic reaction
3. Toxicity
4. Pharmacogenetics

Correct answer: 1. Side effects

Explanation: Ans. is 'a' i.e., Side effects o Unwanted effect at therapeutic dose --> Side effect o Unwanted effect due to overdose ---> Toxic effect